Diagnosis of contact dermatitis is done by ?
1. PATCH test
2. Woods lamp
3. Skin biopsy
4. Darrier's sign

Correct answer: 1. PATCH test

Explanation: Ans. is 'a' i.e., PATCH test Diagnosis of Contact dermatitis Diagnosis of contact dermatitis is made by patch test. Patch test is the only effective means of confirming contact dermatitis. In patch test reading is taken after 48-72 hours to see the signs of delayed hypersensitivity, i.e., induration.